Rotation of sigmoid volvulus occur in which direction?
1. Clockwise
2. Anticlockwise
3. Initially clockwise later anticlockwise
4. Either clockwise or anticlockwise

Correct answer: 2. Anticlockwise

Explanation: "Rotation in sigmoid volvulus nearly always occur in anticlockwise direction" Remember Sigmoid volvulus --------- Anticlockwise Cecal volvulus ----------- Clockwise Ref: Bailey & Love 25/e, Page 1192; CSDT 13/e, Page 682; Textbook of Surgery by S. Das 3/e, Page 1031.